A lady presents with headache, recurrent abortions, and cavernous sinus thrombosis. The diagnosis is
1. APLA
2. Cervical incompetence
3. Unexplained
4. Pre eclampsia

Correct answer: 1. APLA

Explanation: (A) APLA CLINICAL FEATURES OF ANTIPHOSPHOLIPID ANTIBODY SYNDROMEManifestation%Venous Thrombosis and Related Consequences Deep vein thrombosis39Livedo reticularis24Pulmonary embolism14Superficial thrombophlebitis12Thrombosis in various other sites11Arterial Thrombosis and Related Consequences Stroke20Cardiac valve thickening/dysfunction and/or Libman- Sacks vegetations14Transient ischemic attack11Myocardial ischemia (infarction or angina) and coronary bypass thrombosis10Leg ulcers and/or digital gangrene9Arterial thrombosis in the extremities7Retinal artery thrombosis/amaurosis fugax7Ischemia of visceral organs or avascular necrosis of bone6Multi-infarct dementia3Manifestation%Neurologic Manifestations of Uncertain Etiology Migraine20Epilepsy7Chorea1Cerebellar ataxia1Transverse myelopathy0.5Renal Manifestations Due to Various Reasons(Renal Artery/Renal Vein/Glomerular Thrombosis,Fibrous Intima Hyperplasia)3Osteoarticular Manifestations Arthralgia39Arthritis27Obstetric Manifestations (Referred to the Number of Pregnancies) Preeclampsia10Eclampsia4Fetal Manifestations (Referred to the Number of Pregnancies) Early fetal loss (<10 weeks)35Late fetal loss (10 weeks)17Premature birth among the live births11Hematologic Manifestations Thrombocytopenia30Autoimmune hemolytic anemia10